Nuclei of rods and cones are present in which layer of retina?
1. Layer 1
2. Layer 2
3. Layer 3
4. Layer 4

Correct answer: 4. Layer 4

Explanation: Layer 4: This consists of several tiers of rod and cone cell bodies and their nuclei, the cone nuclei lying outer most. Mingled with these are the outer and inner fibres from the same cell bodies, directed outward to the bases of inner segments, and inwards towards the outer plexiform layer.